In Advanced epidemiological triangle, Agent is replaced by:-
1. Determinant risk factors
2. Causative bacterium / virus
3. Causative factors
4. Determinant factors

Correct answer: 3. Causative factors

Explanation: - In advanced epidemiological triad, agent is replaced by causative factors. - Advanced model of epidemiological triangle